A 25 year old primigravida at 10 weeks pregnancy presents with abdominal pain and bleeding per vaginum. BP is 118/74 mm Hg & on speculum examination, bleeding is found to come from Os. On Per Vaginum, uterus is of 10 weeks size, soft and Os is open 1.5cms. diagnosis?
1. Threatened abortion
2. Missed abortion
3. Inevitable abortion
4. Incomplete abortion

Correct answer: 3. Inevitable abortion

Explanation: The history of abdominal pain and bleeding per vaginum in a pregnant female is suggestive of Abortion O/E - size of Uterus = POG = 10weeks and Os is open. All these points indicate towards Inevitable abortion presentation P/V examination USG Threatened abortion pain, bleeding os closed normal intrauterine pregnancy Inevitable abortion pain, bleeding os open intrauterine pregnancy with dilated cervix Incomplete abortion pain, bleeding, passage of mass os open/ closed retained products of conception Complete abortion passage of mass os closed empty uterus Missed abortion no complaints os closed absent cardiac activity